Which of the following antitubercular drugs is associated with hypothyroidism?
1. Rifampicin
2. Pyrazinamide
3. Ethionamide
4. Streptomycin

Correct answer: 3. Ethionamide

Explanation: ethionamide is structurally similar to methimazole that has been shown to inhibit thyroid hormone synthesis hence causing hypothyroidism